The Reynoldis pentad of fever, jaundice, right upper quadrant pain, septic shock and mental status change in typical of
1. Cholangitis
2. Hepatitis
3. Cholecystitis
4. Pancreatitis

Correct answer: 1. Cholangitis

Explanation: Reynold's pentad of acute obstructive cholangitis (suppurative cholangitis-5%)include persistent pain,persistent fever,persistent jaundice,shock(toxicity) & altered mental status.Here,biliary tree contains pus.It usually develop secondary to choledocholithiasis. Reference :SRB's manual of surgery,5th edition,page no:651.